Type of grafts transplanted between genetically different members of the same species?
1. Autologous grafts
2. Syngeneic grafts
3. Allogeneic grafts
4. Xenogeneic grafts

Correct answer: 3. Allogeneic grafts

Explanation: Types of Graft TissueSeveral different types of grafts are used in medicine:* Autologous grafts (or autografts) are those where tissue is moved from one location to another in the same individual (skin grafting in burns or coronary artery replacement with saphenous veins).* Isografts (or syngeneic grafts) are those transplanted between genetically identical individuals (monozygotic twins).* Allogeneic grafts are those transplanted between genetically different members of the same species (kidney transplant).* Xenogeneic grafts are those transplanted between members of different species (pig heart valves into the human). Ref : Ananthanarayana textbook of Microbiology 9th edition Pgno : 184-186